All are true regarding fetal skeletal mineralization except
1. Approximately 30g of calcium is needed especially during 3rd trimester.
2. Calcium required by fetus is only 10 % of maternal, skeletal calcium.
3. Amount of calcium absorbed increases to 400mg / day in the third trimester.
4. PTH plasma concentration is decreased in first trimester, but increases progressively later.

Correct answer: 2. Calcium required by fetus is only 10 % of maternal, skeletal calcium.

Explanation: Fetal calcium requirement is only 3 % of total calcium held within maternal skeleton.